Virus infected cells killed by:
1. Natural killer cells
2. Plasma cells
3. B cells
4. None

Correct answer: 1. Natural killer cells

Explanation: Ans. is 'a'(Ref: Ananthanarayan, 8th/e, p. 131)Virus infected cells are killed by:(i) Innate immunity-by NK cells.(ii) Adaptive immunity-by cytotoxic T cells.